Incidence of diarrhoea in a community can be calculated by -
1. Case control study
2. Cohort study
3. Cross sectional study
4. Double blind placebo control study

Correct answer: 2. Cohort study